All of the following conditions are immediate priorities in the WHO's "Vision -2020: The Right to sight" except:
1. Trachoma
2. Epidemic conjunctivitis
3. Cataract
4. Onchocerciasis

Correct answer: 2. Epidemic conjunctivitis

Explanation: B i.e. Epidemic conjunctivitis